Painless effusion in congenital syphilis is called
1. Clutton joints
2. Barton joints
3. Chanrcot joinst
4. None of the above

Correct answer: 1. Clutton joints

Explanation: Skeletal manifestations of congenital syphilis Clutton's joints - Painless sterile effusions in the knees or elbows Parrot's joints - Effusion with epiphysitis and epiphyseal separation Erosion of the nasal boneThickening and expansion of the finger phalanges (dactylitis) Higoumenaki's sign - Bilateral enlargement of sternal end of the clavicle Saber tibia, Scaphoid scapula (Refer: Mohindra's Fundamentals of Orthopedics, 2nd edition, pg no. 291)